What is the pH range of amniotic fluid :
1. 5.5 - 6.0
2. 6.0 - 6.5
3. 6.5 - 7.0
4. 7.0 - 7.5

Correct answer: 4. 7.0 - 7.5

Explanation: 7.0 - 7.5